The major clinical use of nimodipine is in ?
1. Hypertension
2. Angina pectoris
3. Subarachnoid haemorrhage
4. Raynaud's phenomenon

Correct answer: 3. Subarachnoid haemorrhage

Explanation: Ans. is 'c' i.e., Subarachnoid haemorrhage Nimodipine selectively relaxes cerebral vasculature, approved for prevention and treatment of neurological deficit due to cerebral vasospasm following subarachnoid haemorrhage or ruptured congenital intracranial aneurism.